All of the following organisms are susceptible to Amikacin except:
1. Pseudomonas
2. Serratia
3. Proteus
4. Enterococci

Correct answer: 4. Enterococci

Explanation: Amikacin : Its active against many Gram negative bacteria, including many strains of Proteus, Pseudomonas, Enterobacter, and Serratia. It also active against M.Tb and also Streptomycin resistant strains. However it is not active against Enterococci and Gram positive bacteria. So it should not be used against these.